Blood: Gas (B:G) partition coefficient is a measure of -
1. Potency of anaesthetic agent
2. Speed of induction and recovery
3. Lipid solubility of agent
4. None

Correct answer: 2. Speed of induction and recovery

Explanation: Ans. is 'b' i.e., Speed of induction and recovery o B : G partition coefficient is the measure of solubility of agent in the blood.Blood : Gas partition coefficient (B : G cofficient)o It is the measure of solubility of the agent in the blood. Agent with low blood solubility (low B : G coefficient) will have high concentration in alveolar air as it will diffuse less through the alveolar capillary membrane because of low blood solubility. Since alveolar concentration determines the induction and recovery, induction & recovery will be fast with agent with less B : G partition coefficient; and induction & recovery will be slower with agents with high B : G partition coefficiento Desflurane has minimum B: G partition coefficient (least blood solubility). Has Fastest onset and recovery.o Methoxyflurane has maximum B : G partition coefficient (Maximum blood solubility). Has slowest onset & recovery.o Speed of onset & recovery; in decreasing order (Increasing order of B : G partition coefficient and blood solubility)Desflurane (0.42) > Cyclopropane (0.44) > N2O (0.47) > Sevoflurane (0.69) > Isoflurane (1.38) > Enflurane (1.8) > Halothane (2.4) > Chloroform (8) > Trilene (9) > Ether (12) > Methoxyflurane (15).